All of the following parasitic infestations are indications for the use of Mebendazole, except
1. Round worm
2. Whip worm
3. Hook worm
4. Strongyloides

Correct answer: 4. Strongyloides

Explanation: Mebendazole an antihelminthic drug is indicated in the treatment of infestation with hookworm, roundworm, trichuris, enterobius, trichinella spiralis and hydatid disease. Thiabendazole is the drug of choice in strongyloides infection. Reference: Essentials of Medical Pharmacology By K D Tripathi 5th edition page 761.